All of the following are features of primary hyperaldosteronism except -
1. Pedal edema
2. Polyurea
3. Hypokalemia
4. Hypertension

Correct answer: 1. Pedal edema

Explanation: Patients with primary hyperaldosteronism characteristically do not have edema unless they are associated with congestive heart disease, renal disease or preexisting abnormalities.
The patients do not have edema, since they exhibit an "escape phenomenon" from the sodium retaining aspects of mineralocorticoid.